A 70-year-old man presents with a 16-week history of progressive dysphagia, and recurrent pneumonia episodes. He also has palpable stony hard neck nodes on examination. Diagnosis is?
1. Carcinoma of the esophagus
2. Achalasia Cardia
3. Diffuse esophageal spasm
4. Zenker's diverticulum

Correct answer: 1. Carcinoma of the esophagus

Explanation: Ans. A Carcinoma of the esophagusRef: Bailey and Love, 26th ed. page 1004Esophageal cancer presents with mechanical symptoms, principally dysphagia, but sometimes also regurgitation. The main feature for malignancy in this case is stony hard consistency of neck Lymph nodes.